A primigravida at 37 week of gestation reported to labour room with central placenta previa with heavy bleeding per vaginum. The fetal heart rate was normal at the time of examination. Which of the following is the best management option for her?
1. Caesarean section
2. Expectant management
3. Induction and vaginal delivery
4. Induction and forceps delivery

Correct answer: 1. Caesarean section

Explanation: Since this patient in labour is having central type placenta previa with heavy vaginal bleeding, the most appropriate step in management is to conduct caesarean section. Indications for caesarean section in placenta praevia are: Severe degree placenta previa (type-II (marginal), type-III (incomplete or partial central), type-4 (central or total). Lesser degree of placenta previa where amniotomy fails to stop bleeding or fetal distress appears. Complicating factors associated with lesser degrees of placenta previa where vaginal delivery is unsafe. Vaginal delivery usually is reserved for patients with a marginal implantation and a cephalic presentation. If vaginal delivery is elected, the membranes should be artificially ruptured prior to any attempt to stimulate labor (oxytocin given before amniotomy is likely will cause further bleeding). Ref: Textbook of Obstetrics By D.C. Dutta, 6th Edition, Pages 251-252 ; Scearce J., Uzelac P.S. (2007). Chapter 20. Third-Trimester Vaginal Bleeding. In A.H. DeCherney, L. Nathan (Eds), CURRENT Diagnosis & Treatment Obstetrics & Gynecology, 10e.